Irresistible urge to move about with inner restlessness is called -
1. Akinesia
2. Hyperkinesia
3. Dyskinesia
4. Akathisia

Correct answer: 4. Akathisia

Explanation: Akathisia is characterized by restlessness, inability to sit/stand quietly, persistent desire to move about, and fidgety & rocking movement.